Complications of reflux esophagitis are all Except
1. Stricture
2. Schazki's ring
3. Barrett'a esophagus
4. Achalasia cardia

Correct answer: 4. Achalasia cardia

Explanation: COMPLICATION OF GERD 1.Erosive oesophagitis 2.Strictures- oesophageal or peptic 3.Oesophageal shortening 4.Barretts Oesophagus 5.Adenocarcinoma of oesophagus 6.Schazki's ring- aetiology not clear but there is a hypothesis stating that it is a short peptic stricture occurring as a consequence of gastroesophageal reflux disease .(REF.BAILEY AND LOVE 26TH EDITION PART 11 AND CHAPTER 62) .